Carriers are important source of infection in all, EXCEPT:
1. Measles
2. Mumps
3. Diphtheria
4. Typhoid

Correct answer: 1. Measles

Explanation: Ans. is 'a' i.e. Measles Sources of infection :Measles : The only source of infection is a case of measles.Mumps : Both clinical and sub clinical casesDiptheria : 95% carriers and 5% clinical casesTyphoid : case & carriers